Oculomotor nerve leaves cranium through:
1. superior orbital fissure
2. Inferior orbital fissure
3. Foramen magnum
4. Optic canal

Correct answer: 1. superior orbital fissure

Explanation: Ans a) superior orbital fissureStructure passing through Superior orbital fissureMedialMiddleLateralInferior ophthalmic veinSympathetic nerves around internal carotid arteryNasociliary nerveOtulomotur nerveAbducent nerveSuperior ophthalmic veinlacrimal nerveFrontal nerveTrochlear nerveMnemonic- Inferior sympathyMnemonic- NOAMnemonic Superior LPTInferior orbital fissure* Zygomatic br of maxillary nerve* Infraorbital nerve and vessels* Rami of Pterygoid ganglion* Communicating vein b/w inferior ophthalmic & pterygoid plexus of veinsOptic canal* Optic nerve* Ophthalmic arteryInfraorbital canal- Infra orbital nerve & vessels